Ruptured globe is suspected if there is
1. Proptosis
2. Subluxation of lens
3. Blow-out fracture
4. Chemosis, haemorrhage, decreased IOP

Correct answer: 4. Chemosis, haemorrhage, decreased IOP

Explanation: Globe rupture Globe rupture is a full-thickness wound of the eye wall caused by a blunt object. Globe rupture may occur in two ways: 1. Direct rupture. 2. Indirect rupture It is more common and occurs because of the compression force. The impact results in momentary increase in the intraocular pressure and an inside-out injury at the weakest part of eyewall, i.e., in the vicinity of canal of Schlemm concentric to the limbus. The superonasal limbus is the most common site of globe rupture (contrecoup effect-- the lower temporal quadrant being most exposed to trauma). Rupture of the globe may be associated with prolapse of uveal tissue, vitreous loss, intraocular haemorrhage, decreased IOP and dislocation of the lens. Ref:- A K KHURANA; pg num:-407